The deficiency of which of the following vitamins does
not effect on tooth development
1. Vit - A
2. Vit - D
3. Vit - C
4. Vit - K

Correct answer: 4. Vit - K